Self etching primer is another name of:
1. 4th generation DBA.
2. 5th generation DBA.
3. 6th generation DBA.
4. 7th generation DBA.

Correct answer: 3. 6th generation DBA.